What is the colour of post mortem staining seen in carbon monoxide poisoning?
1. Deep blue
2. Bark brown
3. Bright red
4. Cherry red

Correct answer: 4. Cherry red

Explanation: Post mortem staining seen in carbon monoxide poisoning is cherry red colour. A cherry red colouration of skin, mucous membrane, conjunctiva, nail beds, areas of hypostasis, blood tissues and internal organs are seen in only 15 - 20% cases of carbon monoxide poisoning. Post mortem staining in various poisons: ? In asphyxial death: Bluish violet or deep purple ? Potassium chlorate, bichromates, nitrobenzene and aniline: Chocolate coloured ? Phosphorus poisoning: Dark brown ? Bluish green: Hydrogen sulphide ? Bright red: HCN/Cyanide